Which among the following is decreased in twin pregnancy compared to singleton pregnancy
1. Blood loss at delivery
2. Blood pressure at term
3. Blood volume expansion
4. Systemic vascular resistance

Correct answer: 4. Systemic vascular resistance

Explanation: Multifetal pregnancy is characterized by augmented hypervolemia and decreased vascular resistance.